Which of the following statements in context of leukemias is true?
1. Acute lymphoid leukemia occurs beyond 50 years of age
2. Hairy cell leukemia  in less than 50 years has a good prognosis
3. Acute lymphoid leukemia in less than 1 year has a poor prognosis
4. Chronic lymphocytic leukemia occurs in less than 50 years of age

Correct answer: 3. Acute lymphoid leukemia in less than 1 year has a poor prognosis

Explanation: Explaining other options,

Chronic myeloid leukemia occurs beyond 50 years of age…Robbins 8th/
Hairy cell leukemic is present in median age of 55 years and has M:F ratio of 5:1. HCL tends to follow an indolent course. For unclear reasons, the tumor cells are exceptionally sensitive to particular chemotherapeutic regimens, explanati which produce long-lasting remissions. The overall prognosis is excellent. So, the condition is not having additional increase in improvement with age less than 50 years.
The median age of diagnosis of Chronic lymphocytic leukemia is 60 years and there is a 2:1 male predominance

Robbins 8th/603